Incised looking laceration is seen in all of the following sites except?
1. Forehead
2. Elbow
3. Shin
4. Abdomen

Correct answer: 4. Abdomen

Explanation: Incised looking laceration occurs when the trauma is over bony prominences.